Pop-corn calcification is seen with?
1. Pulmonary Hamartoma
2. Aspergillosis
3. Broncho-Alveolar cancer
4. Pulmonary Embolism

Correct answer: 1. Pulmonary Hamartoma

Explanation: Ans. (a) Pulmonary HamartomaRef: Harrison 19th ed. / 515-16* Popcorn calcification is virtually diagnostic on chest radiographs for pulmonary hamartoma.* It characteristically appears as well-defined, solitary pulmonary nodules; they may show varying patterns of calcification, including an irregular popcorn, stippled, or curvilinear pattern, or even a combination of all 3 patterns..